'Tram-track' calcification on skull radiograph is characteristic of
1. Congenital CMV infection
2. Congenital toxoplasmosis
3. Sturge Weber syndrome
4. Craniopharyngioma

Correct answer: 3. Sturge Weber syndrome